Downward displacement of enlarged spleen is prevented by
1. Lienorenal ligament
2. Phrenicolic ligament
3. Upper pole of right kidney
4. Sigmoid colon

Correct answer: 2. Phrenicolic ligament

Explanation: Phrenicocolic ligament and left colic flexure prevent downward displacement of enlarged spleen.